Preterm infant is defined as -
1. Born between 37-42 weeks
2. Born > 42 weeks
3. Born < 37 weeks
4. Born <25 weeks

Correct answer: 3. Born < 37 weeks

Explanation: Preterm is defined as babies born alive before 37 weeks of pregnancy are completed. Subcategories include- 1. Extremely preterm is less than 28 wks 2. Very preterm 28 to 32 wks 3. Moderate to late preterm 32 to 37 wks Reference Park's textbook of preventive and social medicine 23rd edition pg 536